Right hepatic duct drains all segments except
1. 5
2. 6
3. 7
4. 3

Correct answer: 4. 3

Explanation: The right hepatic duct is located within the liver's biliary network. Together, the right and left hepatic ducts form the common hepatic duct.The right hepatic duct drains bile from the liver's internal right and caudate lobes. Part of the right hepatic duct is extrahepatic, meaning it extends outside of the liver. The right hepatic duct leaves the liver, carrying bile that eventually ends up in the small intestine to aid in digestion. Bile contains bile salts and cholesterol, which help digest fats. Ref - BDC 6e vol2 287,307